All are cholinergic agents except -
1. Galantamine
2. Donepezil
3. Tacrine
4. Memantine

Correct answer: 4. Memantine

Explanation: Ans. is 'd' i.e., Memantine Cognition Enhancers (Cerebroactive drugs) o These are a heterogenous group of drugs developed for use in dementia and other cerebral disorders. o Drugs are 1. Cholinergic activaters --> Tacrine, Rivastigmine, Donepezil, Galantamine. 2. Glutamate (NMDA) antagonist --4 Memanite 3. Miscellaneous --> Piracetam, Pyritinal (pyrithioxine), Piribedil, Dihydroergotoxine (Codergocrine).